Which of the following Broadmann area involved in Broca's motor aphasia:
1. 22
2. 17,18,19
3. 44,45
4. 4,6

Correct answer: 3. 44,45

Explanation: Ans. c. 44, 45The motor speech area of Broca is located in the pars triangularis (area 45) and pars opercularis (area 44) of inferior frontal gyrus of frontal lobe of left hemisphere (dominant hemisphere). So most of the individuals and the persons are right handed. In 30% cases the persons are left handed, because it is present in the right hemisphere.Brocas area is responsible for the production of expressive speech/vocalization.The lesions of motor speech area of Broca result in loss of ability to produce speech, i.e. expressive aphasia (it is also called motor aphasia). The patients, however, retain the ability to think about the words they wish to say, they can write the words, and they can understand their meaning when they see or hear them.Thus, although the language is understood, it cannot be expressed in speech even though there is no paralysis of muscles of lips, tongue, and vocal cords, etc.